Angle between FH plane & occlusal plane is
1. 1°
2. 10°
3. 27°
4. Parallel to each other

Correct answer: 2. 10°